Malakoplakia of the bladder is associated with
1. Smoking
2. Aniline dye
3. Defect in phagocytosis
4. Contrast dye

Correct answer: 3. Defect in phagocytosis

Explanation: It is an inflamatory condition caused by defect in phagocytosis.